Which of the following is true regarding gastrulation:
1. Establishes all the three germ layers
2. Occurs at the caudal end of the embryo prior to its cephalic end.
3. Involves the hypoblastic cells of inner cell mass
4. Usually occurs at 4 weeks

Correct answer: 1. Establishes all the three germ layers

Explanation: A i.e. Establishes all 3 germ layers in embryo